Polychromatic luster type of cataract seen in -
1. Complicated cataract
2. Myotonic Dystrophy
3. Diabetes mellitus
4. Wilson's disease

Correct answer: 1. Complicated cataract

Explanation: Ans. is 'a' i.e., Complicated cataract o See above explanation